Type of speech seen in nasopharyngeal carcinoma is
1. Rhinolalia clausa
2. Rhinolalia aperta
3. Hot potato voice
4. Hoarse voice

Correct answer: 1. Rhinolalia clausa

Explanation: Denasal speech (rhinolalia clausa) is seen in nasopharyngeal carcinoma. It is lack of nasal resonance for words which are resonated in the nasal cavity Rhinolalia aperta (hypernasality- Seen when certain words which have little nasal resonance are resonated through the nose) Muffled and thick speech, often called "hot potato voice. (Ref: Diseases of Ear, Nose and Throat, P.L Dhingra, 7th edition, Pg no. 284)